A 6 year old child has an accident and had elbow, after 4 years presented with tingling and numbness in the ulnar side of finger, fracture is
1. supra condylar humerus
2. lateral condylar humerus
3. olecranon
4. dislocation of elbow

Correct answer: 2. lateral condylar humerus

Explanation: B i.e. Lateral condyle